Intraocular pressure is increased by which anaesthetic
1. Ketamine
2. Propofol
3. N2O
4. Isoflurane

Correct answer: 1. Ketamine

Explanation: Ketamine increases intra-ocular tension - Contraindicated in glaucoma & open eye surgery (Refer: stoelting's pharmacology and physiology in anaesthetic practice, 5th edition, pg no.294)